Torcetrapib induces its hypolipidemic action by?
1. Inhibiting cholesterol ester triglyceride transport protein
2. Activating lipoprotein lipase
3. Inhibiting lipolysis
4. Inhibiting cholesterol absorption

Correct answer: 1. Inhibiting cholesterol ester triglyceride transport protein

Explanation: Ans. is 'a' i.e., Inhibiting cholesterol ester triglyceride transport protein